True statements about Pneumococcus are all except-
1. Pneumolysin a thiolactivated toxin, exerts a variety of effect on ciliary & PMN's
2. Autolysin may contribute to the pathogenesis of pneumococcal disease by lysing the bacteria
3. Anticapsular antibodies are serotype specific
4. The virulence of pneumococci is dependent only on the production of the capsular polysaccharide

Correct answer: 4. The virulence of pneumococci is dependent only on the production of the capsular polysaccharide